All are true about hypertrophic obstructive cardiomypathy except -
1. Asymmertric hypertrophy of septum
2. Systolic motion of anterior leaflet
3. Left ventricle outflow obstruction
4. Beta blockers are not effective

Correct answer: 4. Beta blockers are not effective